Tarso Metatarsal amputation is also known as?
1. Chopart's amputation
2. Lisfranc amputation
3. Pirogoff amputation
4. Symes amputation

Correct answer: 2. Lisfranc amputation

Explanation: Tarsometatarsal joint is known as Lisfranc joint and amputation through this joint is known as Lisfranc amputation. Amputation of foot Mid foot amputation: Type Level of amputation Lisfranc Tarsometatarsal joint Chopart Midtarsal joint Pirogoff Calcaneus is rotated forward to be fused to tibia after vertical section through the middle Hind Foot Amputation: Type Level of amputation Syme Distal tibia fibula 0.6 cm proximal to the periphery of ankle joint passing through the dome of ankle Sarmiento Distal tibia and fibula approximately 1.3 cm proximal to the ankle joint and excision of medial and lateral malleoli Boyd talectomy, forward shift of the calcaneus and calcaneotibial arthrodesis Ref: Campbell's Operative Orthopedics 10/e, Page 557-70; Current Diagnosis & Treatment in Orthopedics 3/e, Page 654-57.